Odd pair -
1. Erythema marginatum-rheumatic fever
2. Erythema gyrens ripens-malignancy
3. Necrotic acral erythema-HCV
4. Erythema chrcnieum migrans ->> malignancy

Correct answer: 4. Erythema chrcnieum migrans ->> malignancy

Explanation: Ans. is 'd' i.e., Erythema chronicum migrans - malignancyo "Erythema gvratum repens" is a rare and characteristic rash strongly associated with malignancy .It consists of wavy erythematous concentric bands that can be figurate, gyrate or annular.These bands are arranged in parallel rings and lined by a fine trailing edge of scale pattern described as "wood grained"Erythema g}'ration repens can expand as fast as l cm/day. It is extremely pruritic and can involve large areas of the body but tends to spare hands, face and feet.Malignancies associated with Erythema gyratum repens :Bronchial carcinomaEsophageal cancerBreast cancerLess commonly it may also be seen in patients with genitourinary, gastrointestinal and hematological malig- nancies.o Erythema chromic urn nigranso Erythema chronicum migrans is the cutaneous hallmark of "h me disease "o One or more large erythematous patches appear anywhere on the skin. The lesion expands centrifugally. Sometimes with central clearing giving rise to annular patches.Ervthema Annulare centrifugumo Erythema annulare centrifugum is characterized by non indurated annular patches with associated trailing scale inside the erythematous bordere.o The annular lesions most commonly affects the tranks, bullocks, thighs and legs while sparing the hands feets and face.o The etiology and pathogenesis are unknown.It is believed that erythema annulare centrifugum represents a continuous manifestation of a hypersensitivity reation to a myriad of underlying conditions including infection by dermatophytes bacteria and viruses, malignancy and immunological disorders.Necrotizing acral ervthema is associated with Hepatitis C virusCutaneous manifatations associated with Hepatitis C virusUrticariaErthema multiformeErthema nodosumMixed cryoglobulinemiaUrticarial vasculitisHenoch schnolein purpuraNecrolytic acral erythemaPorphyria cutanea tardaLichen planusPntrigoErythema marginatumo It is a characteristic cutaneous manifestation of rheumatic fever.o Erythema marginatum are rash present on the trunk and proximal part of extremities.Face is spared.Never pruritic, never indurated andNever tender